In which of the following part of the lung the ventilation/perfusion ratio is maximum?
1. Apical region
2. Middle region
3. Base
4. All of the above

Correct answer: 1. Apical region

Explanation: The ratio of pulmonary ventilation to pulmonary blood flow for the whole lung at rest is about 0.8 (4.2 L/min ventilation divided by 5.5 L/min blood flow). However, relatively marked differences occur in this ventilation/perfusion ratio in various parts of the normal lung as a result of the effect of gravity. Ventilation, as well as perfusion in the upright position, declines in a linear fashion from the bases to the apices of the lungs. However, the ventilation/perfusion ratios are high in the upper portions of the lungs. When widespread, nonuniformity of ventilation and perfusion in the lungs can cause CO2 retention and lowers systemic arterial PO2. Ref: Barrett K.E., Barman S.M., Boitano S., Brooks H.L. (2012). Chapter 34. Introduction to Pulmonary Structure and Mechanics. In K.E. Barrett, S.M. Barman, S. Boitano, H.L. Brooks (Eds), Ganong's Review of Medical Physiology, 24e.